All of the following conditions are associated with primary amenorrhea except :
1. Testicular feminization syndrome
2. Stein - leventhal syndrome
3. Turner's syndrome
4. Mayer Rockitansky Kuster Hauser Syndrome

Correct answer: 2. Stein - leventhal syndrome

Explanation: Ans. is b i.e. Stein - leventhal syndrome The Stein - Leventhal Syndrome also known as Polycystic Ovarian Disease (PCOD) is an important cause of Secondary Amenorrhea in young women. Testicular Feminizing syndrome, Turners syndrome and Mayer Rokitansky Kuster Hauser syndrome are causes of Primary amenorrhea.